Which of the following statements about Gastric carcinoma is true
1. Squammous cell carcinoma is the most common histological subtype
2. Often associated with Hypochlorhydria\/ Achlohydria
3. Occult blood in stool is not seen
4. Highly Radiosensitive tumor

Correct answer: 2. Often associated with Hypochlorhydria\/ Achlohydria

Explanation: Achlorhydria is associated with intestinal metaplasia which is a risk factor for developing gastric carcinoma. most common histological type is adenocarcinoma, a patient will have occult blood in the stool